The prognosis of the broken instrument in root canal is good when
1. Instrument is less than 20 nos.
2. Instrument is lodged in the bone beyond the apical area
3. Instrument obliterates apical third of the canal
4. Instrument is in middle

Correct answer: 3. Instrument obliterates apical third of the canal